Which of the following is a feature of primary hyperparathyroidism ?
1. Reversible growth of parathyroid gland
2. Irreversible growth of parathyroid gland
3. Hypercalcemia and hyperphosphatemia
4. Hypocalcemia and hyperphosphatemia

Correct answer: 2. Irreversible growth of parathyroid gland

Explanation: Primary hyperparathyroidism is caused by autonomous secretion of PTH, usually by a single parathyroid adenoma, which can vary in diameter from a few millimetres to several centimetres. It should be distinguished from secondary hyperparathyroidism, in which there is a physiological increase in PTH secretion to compensate for prolonged hypocalcaemia (such as in vitamin D deficiency, p. 1126), and from tertiary hyperparathyroidism, in which continuous stimulation of the parathyroids over a prolonged period of time results in adenoma formation and autonomous PTH secretion (Box 20.39). This is most commonly seen in individuals with advanced chronic kidney disease. DAVIDSON'S PRINCIPLES AND PRACTICE OF MEDICINE 22ND EDITION PAGE NO-769